Long-term secondary prevention following myocardial infarction is recommended with which one of the following drugs -
1. Antiplatelet drugs
2. Nitrates
3. Amiodarone
4. Calcium channel antagonist

Correct answer: 1. Antiplatelet drugs